Buerger’s disease is not associated with:
1. Affects male under the age of 30 year
2. Thrombophlebitis of deep or superficial veins
3. Involvement of large sized arteries
4. Characteristic ‘corrugation’ of femoral arteries on angiography

Correct answer: 3. Involvement of large sized arteries

Explanation: Buerger’s disease (Thromboangitis obliterans)
Occlusive disease of small and medium sized arteries
Thrombophlebitis of superficial or deep veins
Raynaud syndrome
Affects males (<30yrs)
Angiography sometimes shown a characteristic ‘corrugation’ of the femoral arteries as well as the distal arterial occlusions and helps to distinguish the condition from aggressive atheroma of early onset.